Deficiency of which enzyme leads to Tyrosinemia type II
1. Fumarylacetoacetate hydrolase
2. Phenylalanine hydroxylase
3. Tyrosine transaminase
4. Tyrosinase

Correct answer: 3. Tyrosine transaminase

Explanation: Deficiency of Tyrosine Transaminase leads to Tyrosinemia type II
Mnemonic: T + T = II T